Most dependent part of abdomen in standing position is
1. Vesicouterine pouch
2. Pouch of douglas
3. Morrison pouch
4. Left paracolic gutter

Correct answer: 2. Pouch of douglas

Explanation: The recto-uterine pouch (cul-de-sac or pouch of Douglas) is the extension of the peritoneal cavity between the rectum and the posterior wall of the uterus. It is the most inferior aspect of the peritoneal cavity and therefore the first location where free fluid accumulates . ref - BDC 6e vol2 pg244